Mechanism of IUCD includes all except:
1. Increase cervical mucus
2. Local foreign body like reaction
3. Decrease diameter of fallopian tube
4. Make Endometrium unfavourable for implantation

Correct answer: 3. Decrease diameter of fallopian tube

Explanation: MECHANISM OF ACTION IUDs Intrauterine device: Foreign body reaction in uterus Cellular and biochemical changes in Endometrium and uterine fluids. Impaired viability of gamete. Reduced chances of fertilization. Copper ions (2nd generation) Alter biochemical composition of cervical mucus. Affect sperm motility/Capacitation / survival. Hormones (3rd generation) in IUD Increase cervical mucus viscosity, preventing sperm from entering cervix. Sustain unfavorable Endometrium for implantation by maintaining high level of progesterone.